Staphylococcus aureus differs from staphylococcus epidermidis by -
1. Is coagulase positive
2. Forms white colonies
3. A common cause of UTI
4. Causes endocarditis in drug addicts

Correct answer: 1. Is coagulase positive